Midgut is supplied by which artery -
1. Superior mesenteric artery
2. Middle colic artery
3. Celiac trunk
4. Inferior mesenteric artery

Correct answer: 1. Superior mesenteric artery

Explanation: Ans. is 'a' i.e., Superior mesenteric artery Part of gutDerivativesArteryForegutPharynxLower respiratory tractEsophagusStomachDuodenum upto the opening of the main pancreatic ductLiverPancreasCeliac trunkMidgutDuodenum distal to the opening of the main pancreatic ductSmall intestineAppendixCecumAscending colonTransverse colon upto th junction of right 2/3 and left 1/3SupermesentericarteryHindgutLeft 1/3 of transverse colonDescending colonSigmoid colonRectumUpper part of anal canalInferior mesentericartery